False about TGA
1. Cyanosis at birth
2. CHF
3. VSD
4. AS

Correct answer: 4. AS

Explanation: Patient with comlete TGA with intact ventricular septum will be cyanotic at birth. TGA may be associated with VSD. Patient may develop CHF within Weeks. Arotic stenosis is not a feature of TGA. Ref: Ghai essential of pediatrics, eighth edition, p.no:425